Propanolol, a non-selective beta blocker can be prescribed to decrease anxiety associated with:
1. Chronic neurotic disorder
2. Schizophrenia
3. Short term stressful situations
4. Endogenous depression

Correct answer: 3. Short term stressful situations

Explanation: Propranolol blocks Beta 1 and Beta 2 receptors, but has weak activity on Beta 3 subtype Propanolol can used for controlling the performance anxiety, major manifestations of which are due to increased sympathetic activity (tachycardia, palpitalions etc). Propranolol suppresses anxiety in short-term stressful situations, but this is due to peripheral rather than a specific central action. It does not affect the psychological symptoms (e.g worry, tension and fear)